Agoraphobia is a disorder characterized by all, except
1. Visual hallucinations
2. Avoidance of situations in which it occurs
3. Presence of panic symptoms
4. Avoidance of being outside alone

Correct answer: 1. Visual hallucinations

Explanation: Visual hallucinations